True about alpha-1 antitrypsin deficiency,is :
1. Autosomal dominant
2. Pulmonary emphysema
3. Disease resistant hepatic cells
4. Hepatic cells are orcein stain positive

Correct answer: 2. Pulmonary emphysema

Explanation: Alpha-1 antitrypsin deficiency is an autosomal recessive disease marked by abnormally low serum levels of alpha1 AT enzyme resulting in panacinar emphysema.(ref Robbins 9/e p675-676)